Sterile pyuria is seen in
1. Renal TB
2. Wilms tumor
3. PID
4. Diabetes

Correct answer: 1. Renal TB

Explanation: Many diseases in the urinary tract produce significant pyuria in the absence of bacteriuria . whereas TB is a well recognised example of sterile pyuria , stag horn calculi and stones of smaller size can produce intense pyuria with clumps of wbc in the absence of UTI . any injury to urinary tract ,from Chlamidial urethritis to glomerulonephritis and interstitial cystitis can elicit sterile pyuria ref : Campbell- Walsh urology part3 , chapter 12 ,pg no 251